In Bier's block anaesthetic agent given by which route
1. Intravenous
2. Peribulbar region
3. Retrobulbar area
4. Dermal

Correct answer: 1. Intravenous

Explanation: Biers's block is intravenous regional anaesthesia